Commonest site of carcinoma of tongue
1. Posterior one third
2. Ventral surface
3. Tip of tongue
4. Lateral margin

Correct answer: 4. Lateral margin